A male 45 years old wants his missing teeth to be replaced. Intraoral examination reveals Kennedy class 4 edentulous  maxillary arch. Impression is made with alginate.
The strength of the material is affected by all of the following except:
1. Quantity of water in the mix
2. Insufficient spatulation
3. Overmixing
4. Thermal changes

Correct answer: 4. Thermal changes

Explanation: Strength
Manufacturers’ directions supplied with the product should be followed in all respects. Any deviation from the instructions can have adverse effects on the gel strength. For example, if  too  much  or  too  little  water  is  used  in  mixing,  the  final  gel will be weakened, making it less elastic. Insufficient spatulation  results  in  failure  of  the  ingredients  to  dissolve  sufficiently so that the chemical reactions can proceed uniformly throughout the mass. Overmixing breaks up the formation of the calcium alginate network and reduces its strength.
Thermal changes contribute to dimensional change.
Key Concept: Thermal changes contribute to dimensional change.
Reference: Phillips’ science of dental materials / Kenneth J. Anusavice, Chiayi Shen, H. Ralph Rawls.—12th ed. Page no 174